What is the minimal internal diameter of giant coronary aneurysm in children with Kawasaki disease which pose highest risk for ruptures, thrombosis, stenosis and myocardial infarction?
1. 8 mm
2. 10 mm
3. 12 mm
4. 15 mm

Correct answer: 1. 8 mm

Explanation: --> Giant coronary artery aneurysms (classic definition of > 8 mm internal diameter) pose the greatest risk for rupture, thrombosis or stenosis, and myocardial infarction